Meckel's diverticulum is a derivative of -
1. Allantoic diverticulum
2. Vitellointestinal duct
3. Ventral mesogastrium
4. Ductus arteriosus

Correct answer: 2. Vitellointestinal duct